Isolaion is not carried out in one of the following
1. Plague
2. Cholera
3. AIDS
4. Chicken pox

Correct answer: 3. AIDS

Explanation: .isolation is the oldest communicable disease control measure.it is defined as the seperation,for the period communicability of infected persons or animals from others in such places and under such conditions as to prevent or limit the direct or indirect transmission of the infectious agent from those who are susceptible or who may spread the agent to others.the diseases in which the principle of isolation is helpful include,chickenpox,measles,german measles,cholera,diphtheria,shigellosis,hepatitis A , influenza pertussis etc. ref:park's textbook,22nd edition,pg no 112